Iodine deficiency control programme ?
1. Health education
2. Water testing
3. Fortification of salt
4. None

Correct answer: 3. Fortification of salt

Explanation: Ans. is 'c' i.e., Fortification of salt Iodized salt (salt fortified with iodine) is most economical, convenient and effective means of mass prophylaxis in endemic area.